Which of the following types of Hodgkins lymphomas is associated with a good prognosis
1. Lymphocyte Predominance
2. Lymphocyte Depletion
3. Nodular sclerosis
4. Mixed cellularity

Correct answer: 1. Lymphocyte Predominance

Explanation: Answer is A (Lymphocyte Predominance) Lymphocyte predominant type of HodgAins lymphoma is associated with the best prognosis.